PTH like substance is produced by which type of lung malignacy -
1. Squamous cell carcinoma
2. Oat cell carcinoma
3. Adeno carcinoma
4. Large cell carcinoma

Correct answer: 1. Squamous cell carcinoma

Explanation: ACTH & ADH → Small cell carcinoma (predominantly)
PTH               → Squamous cell Ca